Stocker's line is seen in
1. Pinguencula
2. Pterygium
3. Congenital Ocular Melanosis
4. Conjunctival epithelial melanosis

Correct answer: 2. Pterygium

Explanation: Ans is 'b' i.e. Pterygium Stocker's line is line of iron deposition in the corneal epithelium seen adjacent to the head of the pterygium.Pterygium and Pinguecula are degenerative conditions of the cornea.PingueculaAre areas of bulbar conjunctival thickening, near the limbus in the palpebral fissure area.These are triangular, horizontally oriented with apex away from the cornea.These are white to yellow in color, often having a fatty appearance. (The name pinguecula is derived from fat- pinguis)Usually found in elderly persons, especially those exposed to strong sunlight, dust, wind etc.Usually bilateralUsually nasalEtiology is not well known, however good evidence exists, of an association with increasing age and ultraviolet light exposure.Pinguecula do not cause any symptom, apart from cosmetic defect and sometimes inflammation (pingueculitis). Hence no treatment is required. However rarely, simple excision may be done for cosmetic reasons or for chronic pingueculitis.PterygiumPterygium is a wing shaped fibrovascular growth of the conjunctiva encroaching upon the cornea.It occurs in the palpebral fissure area, usually nasally but may also occur on the temporal side.Elevated whitish opacities ("islets of Vogt") and an iron deposition line ("Stocker") may delineate the head of the Pterygium on the cornea.Like pinguecula, pterygium is associated with ultraviolet light exposure. It occurs at highest prevalence and most severely in tropical areas near the equator and to a lesser and milder degree in cooler climates. The predominantly nasal location is related to reflection of light from the nose onto the nasal conjunctiva.Usually the pterygium is symptomless, so no treatment is required.Indications for surgery are:cosmetic deformityimpaired vision due to encroachment into the pupillary area of the corneasignificant astigmatismrestriction of ocular motilitySimple excision is done.Recurrence of the pterygium after surgical excision is the main problem. Methods to prevent recurrence areconjunctival autografting andmitomycin C application.Is Pinguecula precursor of Pterygium?This is controversial.Parson writes- "A Pterygium frequently follows a Pinguecula"But Yanoff Ophthalmology contradicts this and writes- "Current information, however, suggests that pinguecula does not progress to Pterygium and that the two are distinct disorders."Pterygium and PseudopterygiumPterygium resembles pseudopterygium. Pseudopterygium is conjunctival adhesion to the cornea secondary to previous trauma or inflammation such as peripheral corneal ulceration. A pseudopterygium often has an atypical position and is not adherent at all points, so a probe can be passed beneath it peripherally.